In MVPS, mitral valve HPE shows:
1. Hyaline degeneration
2. Elastic degeneration
3. Myxomatous degeneration
4. Fibrinoid necrosis

Correct answer: 3. Myxomatous degeneration

Explanation: . Myxomatous degeneration